Regarding HMP shunt all of the following are true except:
1. Occurs in the cytosol
2. No ATP is produced in the cycle
3. It is active in Adipose tissue, Liver and Gonads
4. The oxidative phase generates NADPH and the Non oxidative phase generates pyruvate

Correct answer: 4. The oxidative phase generates NADPH and the Non oxidative phase generates pyruvate

Explanation: Ans. D. The oxidative phase generates NADPH and the Non oxidative phase generates pyruvateHMP - The oxidative phase generate NADPH and the Non oxidative phase generates ribose precursors for nucleic acid synthesis.